The ratio of rates of occurrence is
1. Attributable risk
2. Relative risk.
3. Occurring risk
4. Distribution risk.

Correct answer: 2. Relative risk.